Example of long acting neuromuscular blocker is:
1. Rocuronium
2. Vecuronium
3. Pancuronium
4. Atracurium

Correct answer: 3. Pancuronium

Explanation: LONG-ACTING NEUROMUSCULAR BLOCKERS: Pancuronium is cleared largely by the kidney. Its hepatic uptake is limited. A small amount (15% to 20%) is deacetylated at the 3-position in the liver, but this makes a minimal contribution to the total clearance. Deacetylation also occurs at the 17-position, but to such a small extent that it is clinically irrelevant. The three known metabolites have been studied individually in anesthetized humans. The 3-OH metabolite is the most potent of the three, being approximately half as potent as pancuronium, and is the only one present in detectable concentrations in plasma. This metabolite has pharmacokinetics and a duration of action similar to those of pancuronium Ref: Miller's anesthesia-7th ed , Chapter 29.